In the lungs bronchial arteries supply:
1. Till tertiary bronchi
2. Till segmental bronchi
3. Till respiratory bronchioles
4. Till alveolar sacs

Correct answer: 3. Till respiratory bronchioles

Explanation: Bronchial arteries are branches of the descending thoracic aorta. They supply the bronchial wall as for as the respiratory bronchioles.